Psychogenic amnesia is characterized by
1. Antegrade Amnesia
2. Retrograde Amnesia
3. Both with confabulation
4. Patchy impairment of Personal memories

Correct answer: 4. Patchy impairment of Personal memories

Explanation: D i.e. Patchy impairment of personal memories Psychogenic (Dissociative) amnesia is commonest clinical type of dissociative disorder. It is characterized by a sudden inability to recall important personal information particularly concerning stressful or traumatic life events.Q